All of the following variables can predict survival in a patient with primary sclerosing cholangitis Except
1. Serum bilirubin level
2. Splenomegaly
3. Presence of AMA (Antimitochondrial antibody) in high titre
4. Histologic stage

Correct answer: 3. Presence of AMA (Antimitochondrial antibody) in high titre

Explanation: Primary sclerosing cholangitisThe prognosis is unfavourable, with a median survival of 9 to 12 years following the diagnosis, regardless of therapy.Four variables (age, serum bilirubin level, histologic stage, and splenomegaly) predict survival.The diagnosis is supported by a positive AMA test.The presence of AMA in high titer is unrelated to the clinical or histologic picture.